A 40 year old male has vision of 6/60 in right eye and 3/60 in left eye under NPCB, he will be classified as:-
1. Low vision
2. Economically blind
3. Normal
4. Socially blind

Correct answer: 1. Low vision

Explanation: COMPARISON OF WHO AND NPCB DEFINITIONS: WHO-ICD Visual acuity NPCB Low Version Category 1 Category 2 <6/18 - 6/60 <6/60 - 3/60 Low vision Economic/legal Blindness Category 3 Category 4 Category 5 <3/60 - 1/60 <1/60- PL(+) PL(-) Social blindness Manifest blindness Absolute blindness